Frequency distribution is studied by -
1. Histogram
2. Line diagram
3. Pie diagram
4. Ski diagram

Correct answer: 1. Histogram